Udai Pareek scale does not include
1. Education
2. Family members
3. House
4. Income

Correct answer: 4. Income